S A FF strategy is used for:
1. Measles
2. Mumps
3. Trachoma
4. Rubella

Correct answer: 3. Trachoma

Explanation: Ans. C i.e. Trachoma Trachoma Characterized by the presence of: Limbal follicles/ Herbert's pits (formed on cornea, near limbus) Arlts line (conjunctival scarring in sulcus subtarsalis), Pannus (infiltration of cornea with vascularization) SAFE strategy Surgery, Antibiotics, Facial cleanliness, Environmental improvement DOC Tetracycline (local) concentration: 1% Azithromycin (Oral)